Adductor pollicis is supplied by ?
1. Median nerve
2. Radial nerve
3. Superficial branch of ulnar nerve
4. Deep branch of ulnar nerve

Correct answer: 4. Deep branch of ulnar nerve

Explanation: Ans. is `d' i.e., Deep branch of ulnar nerve